Which of the following is maximally associated with heart disease -
1. HDL
2. VLDL
3. LDl
4. Chylomicrons

Correct answer: 3. LDl

Explanation: When we look at various types of lipoprotein, it is the level of LDL cholesterol that is mostly associated with CHD. Ref- Park's textbook of Preventive and Social Medicine 24th edition.